What is the basis of sorting X-chromosome bearing and Y-chromosome bearing sperm?
1. X-chromosome has 2.8% more DNA
2. Y-chromosome has 2.8% more DNA
3. X-chromosome has 0.28% more DNA
4. Y-chromosome has 0.28% more DNA

Correct answer: 1. X-chromosome has 2.8% more DNA

Explanation: Ans. is 'a' i.e.,X-chromosome has 2.8% more DNAA sperm-sorting technology (the microsort method) is the most effective procedure yet devised at separating X-bearing and Y-bearing sperm.X sperm have only 2.8% more DNA than those carrying a Y chromosome, fluorescent dye that attaches to DNA and glows under laser light in sperm sorter then separates the sperm, sending X sperm down one tube and Y sperm into another.The sorted sperm can then be placed in the woman's uterus (artificial insemination) or used for in vitro fertilization.